Any loss or abnormality of psychological physiological or anatomical stuctures or function
1. Impairment
2. Disability
3. Handicap
4. Disease

Correct answer: 1. Impairment

Explanation: Ans. is 'a' i.e., Impairment o According to WHO definitions, Disease: Any abnormal condition of an individual that impairs function Impairment: Any loss or abnormality of psychological, physiological or anatomical structure or function Disability: (Because of impairment,) any restriction or inability to perform an activity in a range considered normal for a human being Handicap: A disadvantage for a given individual, resulting from an impairment/disability, that limits/prevents fulfillment of a role considered normal (depending on age, sex, social, cultural factors) for that individual